5HT3 receptors belong to which of the following group of receptors?
1. Metabotropic
2. Fastest acting receptors
3. Slowest acting receptors
4. Enzymatic receptors

Correct answer: 2. Fastest acting receptors

Explanation: 5HT3 receptors among serotonin receptors are the only ion channel receptors among serotonin group Ion channel receptors are fastest acting receptors Intracellular -slowest acting Ref: HL sharma KK sharma 3rd edition pg no: 62